Rigler's sign is suggestive of -
1. Pneumothorax
2. Pneumoperitoneum
3. Peritonitis
4. Hemothorax

Correct answer: 2. Pneumoperitoneum

Explanation: Ans. is 'b' i.e., Pneumoperitoneum Rigler's Signo Both sides of bowel become visible because of free gas on an abdominal xray. This is known as Rigler's Sign.